All of the following are true about intrinsic Asthma,Except:
1. Increasing Incidence
2. Allergic Asthma is more common in young patients
3. Idiosyncratic Asthma is more common older patients
4. IgE is increased in Idiosyncratic Asthma

Correct answer: 4. IgE is increased in Idiosyncratic Asthma

Explanation: Answer is D (IgE is increased in Extrinsic Asthma) Asthma Extrinsic Asthma / Allergic Asthma History of Atopy is present Attacks related to environmental exposures IgE antibody levels are | ed Early onset of disease (young) Usually is less severe, intermittent Asthma that may however progress to severe persistent Asthma Intrinsic Asthma /Idiosyncratic Asthma No history of Atopy (Concomitant nasal polyps are usually present and patients may be aspirin sensitive) Attacks not related to environmental exposures: Occur without provocation IgE antibody levels are normal Delayed onset of disease (Adult onset Asthma) Usually have more severe persistent Asthma Idiosyncratic Asthma (Intrinsic Asthma) is associated with normal IgE levels. The incidence of Asthma is increasing There is a rising incidence ofAsthtna in developing countries